False negative hydrostatic test in live born:
1. Atelectasis
2. Meconium aspiration
3. Emphysema
4. Congenital heart disease

Correct answer: 1. Atelectasis

Explanation: Ans. Atelectasis